Drugs used in migraine prophylaxis are all except :
1. Flunarizine
2. Propranolol
3. Cyproheptadine
4. Sumatriptan

Correct answer: 4. Sumatriptan